The most frequent trace mineral deficiency developing in a patient receiving parenteral alimentation is a deficiency of
1. Ca
2. Chromium
3. Cobalt
4. Zinc

Correct answer: 4. Zinc

Explanation: Zinc deficiency is marked by an eczematoid rash either diffusely or in intertriginous areas. A microcytic anemia can develop from a lack of copper and glucose intolerance and may be associated with a lack of chromium. Daily administration of trace metal supplements obviates these problems.